Cryosurgery is used in treatment of cervical intraepithelial neoplasia. It is appropriate in all except
1. Transformation zone lying entirely on ectocervix.
2. Smooth cervical surface without deep crevices.
3. Cervical intraepithelial neoplasia -3.
4. CIN limited to two quadrants of the cervix.

Correct answer: 3. Cervical intraepithelial neoplasia -3.

Explanation: Cryosurgery is generally not favoured for treatment of CIN-3 due to higher rates of disease persistence following treatment, and lack of histologic specimen to exclude occult invasive cancer.